To avoid motion sickness, an antiemetic drug should be administered:
1. A day before the journey
2. After ﬁrst vomiting
3. 1 hour before the journey
4. 12 hours before the journey

Correct answer: 3. 1 hour before the journey

Explanation: Hyoscine is administered half to one hour before the journey for the prevention of motion sickness. It has no role once the vomiting starts.